La bella indifference is seen in:
1. Mania
2. Depression
3. Delirium
4. Dissociative disorders

Correct answer: 4. Dissociative disorders

Explanation: D ref: Ahuja, 4th/e p. 95and 5th/e p. 105